True about hypertrophic pyloric stenosis is all except:
1. Typical electrolyte abnormality is Hypochloremic, hypokalemic, metabolic alkalosis with paradoxical aciduria .
2. First born male is commonly affected
3. Ramstedt operation is done
4. Visible peristalsis is always seen

Correct answer: 4. Visible peristalsis is always seen

Explanation: Clinical presentation: Infants is normal at birth, symptomatic between the ages of 3-6 weeksQ . Infants with HPS typically present with projectile non bilious vomitingQ. Visible gastric peristalsis may be seen (not always)as a wave of contraction from the left upper quadrant to the epigastriumQ. Typical electrolyte abnormality: Hypochloremic, hypokalemic, metabolic alkalosis with paradoxical aciduriaQ. First born male commonly affected. Ramsted operation commonly done.